Which of the following intravenous anaesthetic agent has extrahepatic additional route of metabolism -
1. Thiopentone
2. Propofol
3. Etomidate
4. Ketamine

Correct answer: 2. Propofol

Explanation: The clearance rate of Propofol exceeds hepatic blood flow, suggesting that an extrahepatic route of elimination also contribution its clearance. since propofol has extrahepatic and extrarenal route of metabolism its metabolism is never delayed in hepatic and renal failure.